Asherman's syndrome can be diagnosed by all except
1. Hysterosalpingography
2. Saline sonography
3. Endometrial culture
4. Hysteroscopy

Correct answer: 3. Endometrial culture

Explanation: Asherman's syndrome Condition characterized by adhesions and/or fibrosis of the endometrium cavity of uterus Diagnosis Hysteroscopy: Confirms uterine synechiae, type and extent of adhesions Hsterosalpingography: Diagnoses uterine synechiae, polyps, uterine anomaly, patency of fallopian tube and incompetence of internal os Saline sonography: Infusion of normal saline into the uterine cavity and simultaneous transvaginal sonography. Helpful in the diagnosis of uterine pathology. SHAW'S TEXTBOOK OF GYNECOLOGY,15th edition